Features of pulmonary venous hyper tension are NE
1. Perihilar haze
2. Peribroncheal cuffing
3. Upper lobar diversion
4. Uniformly branching lines parallel to pleura

Correct answer: 4. Uniformly branching lines parallel to pleura

Explanation: D i.e. Uniformly branching lines parallel to pleura